A 40-year-old intravenous drug user presents to the emergency department with a 2 days history of right knee pain with associated swelling and erythema. The patient is febrile with a holosystolic murmur at the right lower sternal border. Complete blood count reveals leukocytosis. Blood and synovial fluid cultures are sent, and broad-spectrum antibiotics are started. Synovial fluid analysis is pending. What is the most likely pathogen causing these symptoms
1. Neisseria gonorrhoeae
2. Pseudomonas aeruginosa
3. Borrelia burgdorferi
4. Staphylococcus aureus

Correct answer: 4. Staphylococcus aureus

Explanation: Gram-positive bacteria remain the most common cause of septic arthritis. Staphylococcus aureus accounts for the majority of culture-positive septic arthritis, especially within certain patient subgroups such as hemodialysis patients and intravenous drug abusers. The predominance of S. aureus in septic arthritis has remained unchanged for many years.